Which of the following is NOT of prognostic significance in choroidal melanoma?
1. Presence of retinal detachment
2. Size of the tumor
3. Cytology of the tumor cells
4. Presence of extraocular extension

Correct answer: 1. Presence of retinal detachment

Explanation: Presence of retinal detachment is not a prognostic feature of choroidal melanoma. There are clinical and histopathological prognostic factors which determine survival in patients with choroidal melanoma. Clinical prognostic factors indicating poor prognosis includes: large basal tumor diameter, anteriorly situated tumor, advanced age of patient, extraocular extension, male gender and ring melanoma. Histological poor prognostic factors includes: presence of predominant epithelioid cells in tumor, lymphocytic infiltration, presence of mitotic activity, and presence of vascular loops. Ref: Postgraduate Ophthalmology, Volume 1 edited by Zia Chaudhuri, page 1441.